Features of hemolytic anemia include all except?
1. Hemoglobinemia
2. Bilirubinemia
3. Reticulocytosis
4. Haptoglobin increased

Correct answer: 4. Haptoglobin increased

Explanation: Features of Hemolytic anemia are: - Damage to RBC results in Jaundice Anemia/ | LDH Decreased Heptoglobin levels Hemoglobinemia/ Hemoglobinuria Gall stones Methhemoglobin Renal hemosiderosis - Increased Bone marrow activity results in | cellularity | MCV - reticulocytosis d/t increased erythropoiesis stimulated by | erythropoietin